Definition of Diabetes mellitus includes:
1. Fasting blood glucose >126 mg/dL
2. Random blood glucose >140 mg/dL
3. HbA1c <7%
4. Post prandial blood glucose >180 mg/dL

Correct answer: 1. Fasting blood glucose >126 mg/dL

Explanation: a. Fasting blood glucose >126mg/dL(Ref: Nelson's 20/e p 2760-2780, Ghat 8/e p 541-548)Fasting blood glucose >12.6mg/dL or 2 hr post prandia or rangdom glucose 200mg/dL or HbA1c>6.5% in presence of symptoms like polyuria and polydipsia are diagnostic of diabetes mellitus.